Bing test is
1. Audiometric test
2. Air conduction test
3. Bone conduction test
4. Special test

Correct answer: 3. Bone conduction test

Explanation: Bing test: It is a test of bone conduction Examines the effect of occlusion of ear canal on the hearing. A vibrating tuning fork is placed on the mastoid while the examiner alternately closes and opens the ear canal by pressing on the tragus inwards. A normal person or one with sensorineural hearing loss hear louder when the ear canal is occluded and softer when the canal is open (Bing positive). A patient with conductive hearing loss will appreciate no change (Bing negative). Ref: Dhingra; 6th Edition; pg no 22